Fascia around nerve bundle of brachial plexus is derived from
1. Prevertebral fascia
2. Pretracheal fascia
3. Investing layer
4. Superficial cervical fascia

Correct answer: 1. Prevertebral fascia

Explanation: The muscular floor of the posterior triangle is covered by prevertebral layer of deep cervical fascia which forms the fascial carpet of the floor of posterior triangle.The axillary sheath around subclavian artery and brachial plexustravelling from root of neck to the upper limb.pus collected in the posterior triangle deep to its fascial carpet from tubercular cervical vertebrae may track downwards and laterally along the axillary sheath to first appear in the axilla or even in the arm subsequently.Reference: Textbook of anatomy, Upper limb, and thorax, Vishram Singh, 2nd edition, page no.80